Thiazolidinedione is associated with increasedrisk of?
1. Heart failure
2. Pulmonary fibrosis
3. Myocarditis
4. renal dysfunction

Correct answer: 1. Heart failure

Explanation: Ans. is 'a' i.e., Heart failure Thiazolidinediones adverse effects Plasma volume expansion, edema, weight gain, headache, myalgia and mild anemia. Few cases of hepatic dysfunction and some cardiovascular events have been reported - CHF may be precipitated - they are contraindicated in liver disease and in CHF. Rosiglitazone has been found to increase the risk of fracture, especially in elderly women. Glitazones with insulin can precipitate CHF - avoid such combination. These drugs prevent type 2 DM in prediabetics.